Throttling is:
1. Asphyxia by compression of neck by due to ligature
2. Asphyxia by compression of neck by human hand
3. Asphyxia by sitting on the chest
4. Asphyxia by hanging

Correct answer: 2. Asphyxia by compression of neck by human hand

Explanation: Ans. B i.e. Asphyxia by compression of neck by human hand Manual strangulation (also known as "throttling") refers to strangling with the hands, fingers, or other extremities Ligature strangulation (also known as "garroting") refers to strangling with some form of cord such as rope, wire, or shoe laces, either partially or MN circumferencing the neck.